A patient has presented with palpitations. There no past history of any similar episode(s) but he informs you that he consumed a large amount of coffee at work. What is the most appropriate first-line treatment for this patient?
1. Vagal maneuvers
2. Intravenous adenosine
3. Catheter ablation
4. Cardioversion

Correct answer: 1. Vagal maneuvers

Explanation: Dx for this case is PSVT -ECG HR=150 beats/minute No P wave Narrow QRS Option A: Vagal maneuvers- first line treatment for PSVT Option C: Catheter ablation used when Patient have recurrent episodes of PSVT, when patient have recurrent Tachyarrhythmia Option D: Cardioversion is given to patient who have syncope or Hemodynamically unstable & here only palpitation is presentation so ruled out.